Definition of crowning -
1. Biparietal diameter at the inlet of pelvis
2. Biparietal diameter at the ischial spine
3. Biparietal diameter at the vulval outlet
4. Biparietal diameter just outside the vulval outlet

Correct answer: 3. Biparietal diameter at the vulval outlet

Explanation: Ans. is 'c' i.e., Biparietal diameter at the vulval outlet o Repeat from previous sessions